Facial nerve palsy is seen in -
1. Sarcoidosis
2. VZV
3. Acoustic neuroma
4. AII

Correct answer: 4. AII

Explanation: Ans. is 'd' i.e., All o Sarcoidosis (Heerfordt's syndrome)., varicella zoster virus (herpes zoster oticus) and acoustic neuroma can cause facial nerve palsy Causes of facial paralysis 1. CentralBrain abscess, pontine glioma. Polio, multiple sclerosis 2. Intracranial part (cerebellopontine angle) Acoustic neuroma, meningioma, congenital cholesteatoma, metastatic carcinoma, meningitis 3. Intratemporal part Idiopathic Bell's palsy, Melkersson's syndrome Infections ASOM, CSOM, Herpes zoster oticus, malignant otitis externa Trauma:- Surgical (mastoidectomy, stapedectomy), accidental (fractures of temporal bone) Neoplasms:- Malignancies of the external and middle ear, glomus jugular, facial nerve neuroma, metastasis (from breast, lung etc). 4. Extracranial partMalignancies or surgery or injury to the parotid gland 5. Systemic diseases -Diabetes, hypothyroidism, uremia, PAN, Sarcoidosis (Heerfordt's syndrome), leprosy, leukemia, demyelinating disease.